Which malignancy would occur in long standing multinodular goiter ?
1. Papillary Carcinoma
2. Follicular Carcinoma
3. Anaplastic Carcinoma
4. Medullary Carcinoma

Correct answer: 2. Follicular Carcinoma

Explanation: Incidence of follicular carcinoma is high in endemic goitrous areas, with long standing multinodular goiter, possibly owing to persistent TSH stimulation.
Dominant or rapidly growing nodules especially in longstanding goiters should always be subjected to aspiration cytology.